Death after rupture of berry aneurysm is due to?
1. Sub arachnoid haemorrhage
2. Subdural haemorrhage
3. Extradural hemorrhage
4. Intraparenchymal haemorrhage

Correct answer: 1. Sub arachnoid haemorrhage

Explanation: Harrison's principles of internal medicine 17th edition. *Autopsy and angiography studies have shown that about 2% of adults harbour intracranial aneurysms which will rupture producing SAH.